Which of the following is a new oral drug approved for Rheumatoid arthritis?
1. UPADACITINIB
2. FEDRATINIB
3. ENTRECTINIB
4. TALAZOPARIB

Correct answer: 1. UPADACITINIB

Explanation: UPADACITINIB : - It is an oral JAK 1 inhibitors like tofacitinib - Used for Rheumatoid arthritis to slow down the disease progression. FEDRATINIB : - It is a oral JAK 2 inhibitor . - Used for MYELOFIBROSIS ENTRECTINIB : - It is oral Tyrosine kinase inhibitor. - Used for ROS - 1 positive NON SMALL CELL LUNG CANCER and NK positive solid tumors. TALAZOPARIB : - PARP inhibitor like olaparib - Used for breast cancer.